Drug used for treatment of influenza is -
1. Ritonavir
2. Idoxuridine
3. Lumefantrine
4. Oseltamivir

Correct answer: 4. Oseltamivir

Explanation: Ans. is 'd' i.e., Oseltamivir o Anti-influenza drugs are:-i) Amantidineii) Rimantidineiii) Oseltamiviriv) Zanamavir